Intolerance to loud sound, nerve affected is
1. 5th nerve
2. 7th nerve
3. 10th nerve
4. None

Correct answer: 2. 7th nerve

Explanation: Clinical features of the 7th nerve palsy: Eyeball turns up and out Saliva dribbles Tears flow down Pain in the ear Noise intolerance Loss of taste Ref: Dhingra 7e pg 104.